A fatty acid that is not synthesized in man is:
1. Linoleic acid
2. Oleic acid
3. Palmitic acid
4. Stearic acid

Correct answer: 1. Linoleic acid